In the heterosexual trnsmission of HIV -
1. There is greater risk of transmission from man to woman
2. There is greater risk of transmission from woman to man
3. Risk is equal in either ways
4. HIV infection is not transmitted by heterosexual act

Correct answer: 1. There is greater risk of transmission from man to woman

Explanation: Ans. is 'a' i.e.There is greater risk of transmission from man to woman